Which of the following is not true about PTEN gene?
1. It is the membrane associated phosphatase
2. Encoded by gene located on chromosome 10q23
3. It is mutated in endometrial, breast, thyroid carcinoma
4. It acts as a proto-oncogene

Correct answer: 4. It acts as a proto-oncogene

Explanation: PTEN (phosphatase and tensin homologue) Membrane-associated phosphatase encoded by a gene on chromosome 10q23 that is mutated in Cowden syndrome Autosomal dominant disorder C/F:- Marked by frequent benign growths, such as skin appendage tumors Increased incidence of epithelial cancers, particularly of the breast, endometrium, and thyroid. PTEN acts as a tumor suppressor by serving as a brake on the PI3K/AKT arm of the receptor tyrosine kinase pathway. PTEN gene function is lost in many cancers through deletion, deleterious point mutations, or epigenetic silencing.